The electroretinogram may assist in the diagnosis of all of the following, except:
1. Bilateral disease
2. Progression of retinal disease
3. Clinically unsuspected disease in familial degenerations
4. Complications of glaucoma

Correct answer: 4. Complications of glaucoma

Explanation: Ans. Complications of glaucoma